BRCA I is located on which chromosome ?
1. 17p
2. 17q
3. 13p
4. 13q

Correct answer: 2. 17q

Explanation: Ans. is 'b' i.e., 17q